Which of the following is the anatomical location of foramen of Bochdalek?
1. Mediastinum
2. Urogenital diaphragm
3. Diaphragm
4. Dura mater

Correct answer: 3. Diaphragm

Explanation: Foramen of Bochdalek is present on diaphragm. Posterolaterally, failure of fusion of the pleuroperitoneal canal creates a defect through which viscera may herniate to produce a foramen of Bochdalek hernia. Bochdalek hernia occurs more frequently on the left side and may cause severe respiratory distress at birth, requiring an emergent operation. Ref: Fisichella P.M. (2010). Chapter 20. Esophagus & Diaphragm. In G.M. Doherty (Ed), CURRENT Diagnosis & Treatment: Surgery, 13e.